Mercury affects which part of the kidney ?
1. PCT
2. DCT
3. Collecting duct
4. Loop of Henle

Correct answer: 1. PCT

Explanation: Ans. is 'a' i.e., PCT